Most common organism causing meningitis in patients with CSF leak -
1. Pneumococcus
2. H. influenzae
3. Staphylococcus
4. E.coli

Correct answer: 1. Pneumococcus